Which of the following is true about METFORMIN
1. Hypoglycemia is very common
2. Increases hepatic Gluconeogeneis
3. Reduces the lipogeneis in adipose tissue
4. Increases the secretion of Insulin

Correct answer: 3. Reduces the lipogeneis in adipose tissue